The angle between medial wall and lateral wall of orbital cavity is
1. 0°
2. 45°
3. 90°
4. 60°

Correct answer: 2. 45°

Explanation: The angle between medial wall and lateral wall of orbital cavity is 45°.